A patient with diabetic gastroparesis was given erythromycin because of the following property:
1. It increases bacterial count
2. It decreases bacterial count
3. It binds to adenyl cyclase
4. It imitates motilin

Correct answer: 4. It imitates motilin

Explanation: The effects of motilin can be mimicked by erythromycin. It induces phase III migrating motor complex activity and increases smooth muscle contractility. It has multiple effects on upper GI motility, increasing lower esophageal pressure and stimulating gastric and small-bowel contractility. It is a prokinetic agent is in patients with diabetic gastroparesis, where it can improve gastric emptying in the short term. Ref: Sharkey K.A., Wallace J.L. (2011). Chapter 46. Treatment of Disorders of Bowel Motility and Water Flux; Anti-Emetics; Agents Used in Biliary and Pancreatic Disease. In L.L. Brunton, B.A. Chabner, B.C. Knollmann (Eds), Goodman & Gilman's The Pharmacological Basis of Therapeutics, 12e.